Pancytopenia with massive/moderate splenomegaly is seen in -a) Myelofibrosisb) Thalassemiac) PRVd) hairy cell leukemiae) CML
1. b
2. ad
3. ac
4. ab

Correct answer: 2. ad